Patient of acute pancreatitis developed sudden loss of vision the most likely cause is:
1. Purtscher's retinopathy
2. Hyperglycemia
3. Hypoxia
4. CRVO

Correct answer: 1. Purtscher's retinopathy

Explanation: Purtscher's retinopathy, a relatively unusual complication, is manifested by a sudden and severe loss of vision in a patient with acute pancreatitis. It is characterized by a peculiar fundoscopic appearance with cotton-wool spots and hemorrhages confined to an area limited by the optic disc and macula it is believed to be due to occlusion of the posterior retinal artery with aggregated granulocytes.